Skin over parotid is supplied by:
1. Retroauricular nerve
2. Greater auricular nerve
3. Greater occipital nerve
4. Facial nerve

Correct answer: 2. Greater auricular nerve

Explanation: Ans. B Greater auricular nerveRef: Gray's Clinical Neuroanatomy E-book, P 315